All the following are causes of bluish sclerae in young children, EXCEPT:
1. Hallermann-Streiff syndrome
2. Ehler Danlos syndrome
3. Robert's syndrome
4. Sjogren Larsson syndrome

Correct answer: 4. Sjogren Larsson syndrome

Explanation: Features of Sjogren Larsson syndrome includes ichthyosis, spastic diplegia, retinal degeneration and intellectual disability. The common causes of bluish sclerae is given below: 1. Osteogenesis imperfecta 2. Ehler Danlos syndrome 3. Marfan's syndrome 4. Glaucoma 5. Robert's syndrome 6. Hallermann Streiff syndrome 7. Russell silver syndrome 8) Marshall Smith syndrome Ref: Pediatric Clinical Methods by Meharban Singh, 3rd Edition, Page 98